Avascular necrosis is the most common in one of the following fracture
1. Garden 3 and 4 fracture of femoral neck
2. Garden 1 and 2 fracture of femoral neck
3. Sub-trochanteric fracture of femoral neck
4. Baso-trochanteric fracture

Correct answer: 1. Garden 3 and 4 fracture of femoral neck

Explanation: The Garden classification of subcapital femoral neck fractures is the most widely used. It is simple and.
Garden stage III: complete fracture, incompletely displaced. femoral
Garden stage IV: complete fracture, completely displaced. femoral